A prepared cavity is best protected from moisture by
1. Cotton rolls
2. Saliva ejector
3. Rubber dam
4. Paper napkin

Correct answer: 3. Rubber dam